On an average, the distance between femoral ring and saphenous opening (length of femoral canal) is -
1. 1.25 cm
2. 2.50 cm
3. 3.75 cm
4. 5.00 cm

Correct answer: 1. 1.25 cm